Which is most important in the bactericidal activity?
1. Hydrolase
2. Peroxidase
3. Transferase
4. Dismutase

Correct answer: 2. Peroxidase